Triad of normal-pressure hydrocephalus includes -
1. Tremor, aphasia dementia
2. Ataxia, aphasia, gait disorder
3. Gait disorder, urinary incontinence, dementia
4. Gait disorder, urinary incontinence, lower cranial nerve palsy

Correct answer: 3. Gait disorder, urinary incontinence, dementia